CSF sample is preserved for which poisoning:
1. Heavy metal
2. Alphos
3. Organophosphates
4. Alcohol

Correct answer: 4. Alcohol

Explanation: Ans. Alcohol